Nausea, vomiting, blue line on gums, wrist/foot drops, pallor, colic are manifestations of poisoning due to:-
1. Mercury
2. Arsenic
3. Organic lead
4. Inorganic Lead

Correct answer: 4. Inorganic Lead

Explanation: Clinical picture of lead poisoning (Plumbism): Due to inorganic lead (Non - CNS effects) Due to organic lead (CNS effects) Facial Pallor: Earliest And Most Consistent Sign Anemia: Microcytic hypochromic Punctuate basophilia or stippling of RBCs Burtonian Line: Lead sulphide on upper gums Lead colic: Constipation (or diarrhea) Lead palsy (Wrist / Foot drop). Insomnia Mental confusion Headache Delirium Encephalopathy.